Crossed aphasia means-
1. Right hemispherical lesion in right handed person
2. Right hemispherical lesion in left handed person
3. Left hemispherical lesion in left handed person
4. Left handed lesion in right handed person

Correct answer: 1. Right hemispherical lesion in right handed person